Which organism cannot be cultured in cell free media -
1. Klebsiella rhinoscleromatis
2. Klebsiella ozaenae
3. Treponema pallidum
4. All

Correct answer: 3. Treponema pallidum

Explanation: Ans. is 'c' i.e., Treponema pallidum . Treponema pallidum is an obligate intracellular organism. Thus it cannot be cultivated in cell free medium. . Pneumocystis Jiroveci and Rhinosporidium seeberi can not be cultivated.